Mandibular nerve does not supply:
1. Buccinator
2. Masseter
3. Tensor tympani
4. Temporalis

Correct answer: 1. Buccinator

Explanation: Buccinator is supplied by facial nerve (7th nerve).
Mandibular nerve  is nerve of 1st branchial arch & supplies all muscles derived from it, i.e.